Digestion in intestinal mucosa is inhibited by ?
1. V cholera
2. G lamblia
3. Enterokinase
4. S haematobium

Correct answer: 2. G lamblia

Explanation: Ans. is 'b' i.e., G lamblia . Giardia lambia inhabits small intestine and cause malabsorption. . It is believed that symptoms of malabsorption are clinical signs of loss of brush border enzyme activities.